Pulmonary surfactant is secreted by:
1. Type I pneumocytes
2. Type II pneumocytes
3. Clara cells
4. Bronchial epithelial cells

Correct answer: 2. Type II pneumocytes

Explanation: Surfactant produced by type II pneumocytes which decreases alveolar surface tension & increases compliance. Ref: International Review Of Cytology: A Survey of Cell Biology By Kwang W. Jeon, 2007, Page 217